Which of these is true about Dabigatran?
1. Factor Xa inhibitor
2. Excreted liver
3. Idarucizumab is an reversal agent for dabigatran.
4. In-expensive

Correct answer: 3. Idarucizumab is an reversal agent for dabigatran.

Explanation: Option A: Xa inhibitor =Rivaroxaban, dabigatran is direct thrombin inhibitor Option B: Excreted Liver= No, Dabigatran -Excreted by kidney. Option C: Yes,Idarucizumab is an reversal agent for dabigatran. -Warfarin Toxicity, 1st line Tx= Prothrombin complex concentrates or Fresh frozen plasma. Option D: It is quite expensive